A tonsil bed is formed by superior constrictor and styloglossus muscle . Which of the following is not the component of tonsillar bed ?
1. Submandibular salivary gland
2. Lateral pterygoid muscle
3. IX nerve
4. Styloid process

Correct answer: 2. Lateral pterygoid muscle

Explanation: Lateral pterygoid muscle has no relation with tonsil bed . Bed of the tonsil :-It is formed by following structures- Superior constrictor muscle Styloglossus muscle Lateral pterygoid muscle- Upper head arises from the infratemporal surface Lower head arises from the lateral surface of the lateral pterygoid plate